A 22-year-old woman nursing her newborn develops a tender erythematous area around the nipple of her left breast. A thick, yellow fluid is observed to drain from an open fissure. Examination of this breast fluid under the light microscope will most likely reveal an abundance of which of the following inflammatory cells?
1. B lymphocytes
2. Eosinophils
3. Mast cells
4. Neutrophils

Correct answer: 4. Neutrophils

Explanation: The thick, yellow fluid draining from the breast fissure in this patient represents a purulent exudate. Purulent exudates and effusions are associated with pathologic conditions such as pyogenic bacterial infections, in which the predominant cell type is the segmented neutrophil (polymorphonuclear leukocyte). -Mast cells (choice C) are granulated cells that contain receptors for IgE on their cell surface. -B lymphocytes (choice A) and plasma cells are mediators of chronic inflammationDiagnosis: Acute mastitis